Senile vaginitis is due to :
1. Gonococcal infection
2. Cancer cervix
3. Diabetes
4. Oestrogen deficiency

Correct answer: 4. Oestrogen deficiency

Explanation: Oestrogen deficiency